The organism causing Early-onset neonatal septicemia
1. Streptococcus agalactiae
2. Streptococcus bovis
3. Streptococcus pyogenes
4. Streptococcus viridans

Correct answer: 1. Streptococcus agalactiae

Explanation: Early-onset sepsis(less than 72 hrs) is caused by organisms prevalent in the maternal genital tract or in the delivery area. The microorganisms most commonly associated with early-onset infection include the following: Group B Streptococcus (GBS)- Streptococcus agalactiae, Escherichia coli, Coagulase-negative Staphylococcus, Haemophilus influenzae, Listeria monocytogenes.
Late-onset sepsis(72hrs or later) is caused by organisms thriving in the external environment of the home or the hospital. Organisms that have been implicated in causing late-onset sepsis include the following: Coagulase-negative Staphylococcus, Staphylococcus aureus, E coli, Klebsiella, Pseudomonas, Enterobacter, Candida, GBS, Serratia, Acinetobacter, Anaerobes